The position of DNA in which RNA polymerase binds and start transcription is called:
1. Terminator
2. Anti-terminator
3. Operator
4. Promoter region

Correct answer: 4. Promoter region

Explanation: Ans. D. Promoter regionThe binding of enzyme RNA polymerase to DNA is prerequisite for the beginning of transcription. The specific region on DNA where the enzyme binds is known as promoter region.